Muscle which helps in opening of the mouth:
1. Lateral pterygoid
2. Medial pterygoid
3. Temporalis
4. Masseter

Correct answer: 1. Lateral pterygoid

Explanation: Lateral PterygoidThe primary function of the lateral pterygoid muscle is to pull the head of the condyle out of the mandibular fossa along the articular eminence to protrude the mandible.A conceed effort of the lateral pterygoid muscles acts in helping lower the mandible and open the jaw whereas unilateral action of a lateral pterygoid produces contralateral excursion, usually performed in concert with the medial pterygoidsUnlike the other three muscles of mastication, the lateral pterygoid is the only muscle of mastication that assists in depressing the mandible (opening the jaw).At the beginning of this action it is assisted by the digastric,mylohyoid and geniohvoid muscles.